Localised scleroderma is -
1. Shagreen patch
2. Morphea
3. Heliotrope erythema
4. Gottron's papule

Correct answer: 2. Morphea

Explanation: shagreens patch-tuberous sclerosis. Heliotrope rash and gottrons papule- dermatomyositis. Localised scleroderma- morphea. Reference IADVL's concise textbook of dermatology page 1248